Mechanism of action of statins is by:
1. Competitive inhibition
2. Noncompetitive inhibition
3. Uncompetitive
4. Irreversible inhibition

Correct answer: 1. Competitive inhibition

Explanation: Ref: Goodman & Gillman's 13th ed. P 609* Statins exert their major effect--reduction of LDL levels--through a mevalonic acid-like moiety that competitively inhibits HMG-CoA reductase, which is the rate limiting enzyme in the cholesterol biosynthesis.* Drugs are atorvastatin, rosuvastatin, fluvastatin, lovastatin, pravastatin, simvastatin, pitavastatin.* Food increases absorption of statins* Statins are most active at night, so given at night except rosuvastatin and atorvastatin which are longest acting statins.